Under the National Leprosy Elimination Programme, mass survey for leprosy is done if prevalence of leprosy is more than:
1. 1/1000
2. 5/1000
3. 10/1000
4. 20/1000

Correct answer: 3. 10/1000

Explanation: Under the NLEP, mass surveys are carried out by house to house surveys if prevalence of leprosy is>10/1000. In mass surveys, not less than 95% of the population should be covered. Ref: Park 21st edition, page 295.